'Double duct' sign is diagnostic of
1. Periampullary carcinoma
2. Gallbladder carcinoma
3. Klatskin's carcinoma
4. Hepatocellular carcinoma

Correct answer: 1. Periampullary carcinoma

Explanation: In pancreatic carcinoma(periampullary carcinoma) , the main pancreatic duct may be narrowed or completely obstructed at the site of the tumour, or the distal bile duct may be narrowed. Concurrent narrowing of both ducts results in the so called double duct signReference : page 1134 Bailey and Love's short practice of surgery 25th edition